Reversible dementia is a feature of:
1. Alzheimer's disease
2. Pick's disease
3. Multiinfarct dementia
4. Hypothyroidism

Correct answer: 4. Hypothyroidism

Explanation: Ans: D (Hypothyroidism) Ref: Harrison 's Textbook of Internal MedicineExplanationDementiaIt is a syndrome characterized byMemory disturbances (typically acquisition & recent memory are impaired)Agnosia (inability to recognise like one's name)Aphasia (inability to talk properly)Apraxia (inability to do which were done with ease before)Executive dysfunction (unable to perform the previously performed.dearned activities)Dementia is basically due to degeneration of neurons of brain.Depending upon the site, it may be cortical (Alzheimer's disease) or subcortical (Parkinson's disease) or mixed (Vascular/Multi-infarct dementia).While the degeneration is progressive, sometimes if the cause is removed or treated, the dementia resolves.Hence, depending upon the "reversibility", there are1. Irreversible dementias (Alzheimer's disease. Multi-infarct dementia)2. Reversible [FEDUP|Failure of other organs (CCF, CO PD Respirator}' failure. Renal failure, etc.)Endocrine (hypothyroidism, hypoparathyroidism, hypoadrenalism, diabetes)Drugs (chemotherapy )Under/Over minerals & vitamins (defieciency states esp. Vitamin B 1,2,6,12) (Toxicity due to chronic exposure / ingestion of to aluminium, arsenic, lead)Psychiatric conditions (depression, schizophrenia)